Saftey H file is
1. Used in curved canals
2. Used in narrow canals
3. Used in bifurcated canals
4. Used in wide canals

Correct answer: 1. Used in curved canals